Hot potato voice is seen in all EXCEPT:
1. Glottic cancer
2. Tonsillar malignancy
3. Posterior tongue malignancy
4. Peritonsillar abscess

Correct answer: 1. Glottic cancer

Explanation: ANSWER:(A) Glottic cancerREF: Dhingra 4th ed page 245, 251, Diseases of Ear, Nose and Throat 1" ed 2013 By Mohan Bansal page 445"Patients of glottic carcinoma have horse voice while Supraglottic carcinoma have Hot potato voice"Muffled and thick speech, often called "Hot potato voice" is seen in Space-occupying lesionsof the oropharynx likePeritonsillar abscess (Quinsy)Carcinoma of Posterior One-third or Base of TongueEpiglottic carcinomaSupraglottic carcinomaTonsillar malignancyNote: Rhinophyma is also known as potato tumour